Expression and consequent release of previously repressed emotion is called as:-
1. Regression
2. Dissociation
3. Abreaction
4. All of the above

Correct answer: 3. Abreaction

Explanation: Regression: Unconscious defense mechanism in which a person undergoes a partial or total return to earlier patterns of adaptation; observed in many psychiatric conditions, particularly schizophrenia. Abreaction: A process by which repressed material, particularly a painful experience or a conflict, is brought back to consciousness; in this process, the person not only recalls but also relives the repressed material, which is accompanied by the appropriate affective response. Dissociation: Unconscious defense mechanism involving the segregation of any group of mental or behavioral processes from the rest of the person's psychic activity; may entail the separation of an idea from its accompanying emotional tone, as seen in dissociative and conversion disorders.